Miliary mottling on chest radiograph can be seen in –
1. Pneumoconiosis
2. TB
3. Mitral stenosis
4. All

Correct answer: 4. All